Which of the following statement is true regarding BMR?
1. Is not influenced by energy intake
2. Increases in response to starvation
3. May decrease up to 50% during period of starvation
4. Not responsive to change in the hormonal level

Correct answer: 3. May decrease up to 50% during period of starvation

Explanation: This is a part of survival mechanism in starvation.Reduced energy intake reduces BMR and increased energy intake increases BMR. BMR changes in response to hormone level. Thyroid hormone, cortisol etc increases the BMR.